Which among the following is the commonest type of congenital cataract?
1. Nuclear
2. Zonular
3. Capsular
4. Coralliform

Correct answer: 2. Zonular

Explanation: Lamellar or zonular cataract is the most common type of congenital cataract, accounting for about 50% cases. Here, development of the lens is interfered at a later stage. Typically, this cataract occurs in a zone of foetal nucleus surrounding the embryonic nucleus. The main mass of the lens internal and external to the zone of cataract is clear, except for small linear opacities like spokes of a wheel (riders) which may be seen towards the equator. Ref: Ophthalmology by Khurana, 2005, Page 187.